A baby with tripod position, bi dexterous approach, recognizes strangers and can spell out mono syllable by what age:
1. 7 months
2. 12 months
3. 9 months
4. 10 months

Correct answer: 1. 7 months

Explanation: Age of the baby- 7 months Baby can sit in tripod position by 6 months. Bi dexterous approach by 5th month. Monosyllables by 6th month. Stranger anxiety by 7th month